Quarantine period for yellow fever is:
1. 1 day
2. 2 days
3. 6 days
4. 10 days

Correct answer: 3. 6 days

Explanation: Ans. C: 6 days All travelers exposed to the risk of yellow-fever or passing through endemic zones of yellow fever must possess a valid international certificate of vaccination against yellow fever before they are allowed to enter yellow fever "receptive "areas. If no such certificate is available, the traveler is placed on quarantine, in a mosquito proof ward, for 6 days from date of leaving an infected area.